Who coined term anaesthesia -
1. Morton
2. Holmes
3. Morgan
4. Priestly

Correct answer: 2. Holmes

Explanation: Ans. is 'b' i.e., Holmeso The term 'Anaesthesia' was coined by Oliver Wendell Holmes in 1846.o The term "Balanced Anaesthesia" was coined by John Lundy and Ralph Waters.